Hummingbird sign in brain MRI is seen in ?
1. Multiple sclerosis
2. Progressive supranuclear palsy
3. Parkinson's disease
4. Alzheimer disease

Correct answer: 2. Progressive supranuclear palsy

Explanation: Ans. is 'b' i.e., Progressive supranuclear palsyHummingbird sign on brain MRI is a radiological sign of progressive supranuclear palsy.